True about El T or vibrio:
1. More SAR
2. VP reaction (+)ve
3. Low carrier rate
4. More severe

Correct answer: 2. VP reaction (+)ve

Explanation: Ans. is. 'b' i. e., VP reaction (+)ve